Snake that causes paralysis with convulsions:
1. Vipers
2. Sea snakes
3. Cobra
4. Krait

Correct answer: 3. Cobra

Explanation: Ans. Cobra